Which of the following is TRUE regarding physiological changes in the brain during moderate exercise?
1. Blood flow is decreased
2. Blood flow is increased
3. Blood flow remains unaltered
4. Blood flow initially increases & then decreases

Correct answer: 3. Blood flow remains unaltered

Explanation: C i.e. Blood flow remains unchanged